Most common mitochondrial enzyme for metabolism detoxification reaction is -
1. CYP 3A4
2. CYP 1A2
3. CYP 2A6
4. CYP 2B6

Correct answer: 1. CYP 3A4

Explanation: Ans. is 'a' i.e., CYP 3A4 Subtypes of cytochrome P-450o Depending upon the extent of amino acid sequence homology, the cytochrome PASO (CYP) isoenzymes are grouped into families designated by capital letters (A, B, C....).o Individual isoenzymes are again alloted numerals (1, 2, 3 ....).o Examples are CYP1A2, 2A6, 2B6, 2C8, 3A4/3A5.o In human beings, only a few members of three isoenzyme families carry out metabolism of most of the drugs,o Cyp 3 A 4/5 carryout biotransformation of largest number (nearly 50%) of drugs.Important inducers of CYP 3A4/3A5o Barbiturateso Carbamazepineo Glucocorticoidso Phenytoino Rifampino Pioglitazoneo Macro)ide antibiotics